Increased estrone levels is PCOD is derived from
1. Testosterone
2. Androstenedione
3. Dehydro epiandrosterone
4. GnRH

Correct answer: 2. Androstenedione

Explanation: Elevated androstenedione levels contribute to an increase in estrone levels through peripheral conversion of androgens to estrogens by aromatase.